Which of the following nerves provides the efferent impulses necessary for the esophageal actions that occur during swallowing?
1. Glossopharyngeal
2. Hypoglossal
3. Spinal accessory
4. Vagus

Correct answer: 4. Vagus

Explanation: The vagus nerve supplies the efferent input into the esophagus that is necessary for swallowing.The glossopharyngeal nerve provides taste and sensation on the palate, but the only muscle it supplies is the stylopharyngeus.The hypoglossal nerve moves the tongue during the initiation of swallowing, but does not innervate the esophagus.The spinal accessory nerve plays no role in swallowing. This nerve mediates head and shoulder movement and innervates laryngeal muscles.Also Know:Injury to CN X:It may result in hoarseness (due to paralysis of the intrinsic laryngeal muscles) and difficulty swallowing (due to paralysis of pharyngeal muscles). On examination, the soft palate droops on the affected side, and the uvula deviates opposite the affected side as a result of the unopposed action of the intact levator veli palatini muscle. There also may be loss of the gag reflex, where CN IX provides the sensory limb and CN XI provides the motor limb through innervation of the pharyngeal muscles.